Knife edge pattern of neuronal atrophy is associated with which of the degenerative disease of the cortex
1. Alzheimer's disease
2. Frontotemporal dementia
3. Pick's disease
4. Progressive supranuclear palsy

Correct answer: 3. Pick's disease

Explanation: Pick's disease is characterized by a progressive frontotemporal lobar atrophy, gliosis, severe neuronal loss, aB-crystallin-immunoreactive ballooned neurons, and the presence of argyrophilic (but Gallyas-negative) neuronal inclusions, the Pick bodies, in the cerebral cortex and some subcortical structures. The "knife-edge" cortical atrophy is frequently asymmetric and predominates in the frontal and temporopolar regions Refer robbins 9/e 840